Which of the following is not a feature of Wernicke's,encephalopathy:
1. Global confusion
2. Opthalmoplegia
3. Ataxia
4. Aphasia

Correct answer: 4. Aphasia

Explanation: Ans.(d) AphasiaRef: Harrison 19th ed. / 2724The classic triad of symptoms found in Wernicke's encepha- lopathy is:* Global Confusion* Ophthalmo-plegia (Most commonly affecting the lateral rectus muscle).* AtaxiaFor diagnosis: Thiamine can be measured using an erythrocyte transketolase activity assay or by activation by measurement of in vitro thiamine diphosphate levels.